Nissl's bodies located intracytoplasmic are in
1. Perikaryon of neuron
2. Smooth muscle
3. Skeletal muscle
4. Cardiac muscle

Correct answer: 1. Perikaryon of neuron

Explanation: Nissl bodiesLarge granular bodies that stain with basic dyes, forming the reticular substance of the cytoplasm of neurons, composed of rough endoplasmic reticulum and free polyribosomes.Ref: Ganong's review of medical physiology; 24th edition